which chemical mediator is an arachidonic acid metabolite produced by COX pathway
1. LXA4
2. LXB4
3. SHETE
4. PGH2

Correct answer: 4. PGH2